A most common subtype of thyroid cancer is?
1. Medullary carcinoma
2. Papillary carcinoma
3. Follicular carcinoma
4. Anaplastic carcinoma

Correct answer: 2. Papillary carcinoma

Explanation: Papillary carcinoma is the most common of the thyroid neoplasms and is usually associated with an excellent prognosis, particularly in female patients younger than 40 years.
About 70% to 80% of patients in the United States in whom thyroid carcinoma is newly diagnosed have papillary carcinoma.